The appendix of the testis develops from
1. Mesonephric duct
2. Paramesonephric duct
3. Both
4. None

Correct answer: 2. Paramesonephric duct

Explanation: Inderbir Singh's; Human embryology; Tenth edition; Pg 300The paramesonephric ducts remain rudimentary in a male.The greater part of each duct eventually disappears.The cranial end of each duct persists as a small rounded body attached to the testis (appendix of testis) that may occasionally give rise to cysts.